The most common organism amongst the following that causes acute meningitis in an AIDS patient is -
1. Streptococcus pneumoniae
2. Streptococcus agalactiae
3. Cryptococcus neoformans
4. Listeria monocytogenes

Correct answer: 3. Cryptococcus neoformans

Explanation: Cryptococcosis is the predominant cause of fatal fungal infection and causes acute... meningitis in patients with AIDS.
It may occur most common when CD4+ count falls below 200 cells/mm3.
The extra pulmonary cryptococcosis is one of the AIDS defining diseases.